Picking every 5th or 10th unit at regular intervals is:
1. Random sampling
2. Systematic sampling
3. Stratified sampling
4. Quota sampling

Correct answer: 2. Systematic sampling

Explanation: A systematic sample is obtained by selecting one unit at random and then selecting additional units at evenly spaced interval till the sample of required size has been achieved.